Pulsatile proptosis is seen in -
1. Caroticocavemous fistula
2. Orbital varix
3. Thyroid ophthalmopathy
4. Neuroblastoma

Correct answer: 1. Caroticocavemous fistula

Explanation: Ans. is 'a' i.e., Caroticocavernous fistula Proptosis (exophthalmos)o Proptosis is bulging of the eyeball (forward bulging) beyond the orbital margins. Though the word exophthalmos is synonymous with proptosis; some source define exophthalmos as a protrusion of globe greater than 18mm and pro ptosis as a protrusion equal to or less than 18 mm. Proptosis may be classified as follows : -Unilateral Proptosis Proptosis of one eye.i) Inflammatory lesions Orbital cellulitis, abscess, cavernous sinus thrombosis, etc.ii)Vascular disturbances Haemorrhage, varicose orbital veins, haemangioma, etc.Cysts and tumour . - Dermoid cyst, osteoma, lymphoma, lymphosarcoma, glioma, meningioma of optic nerve, retinoblastoma and metastatic deposits in orbit .Systemic diseases - Leukemias and endocrine disturbances such as Graves' disease and thyrotropic exophthalmos in initial stages.Paralysis of extraocular muscles as in complete ophthalmoplegia.Mucocele of PNS' - Frontal (most common), ethmoid, maxillary.o The most common cause of unilateral proptosis in children is orbital cellulitis.o The most common cause of unilateral proptosis in adults is thyroid ophthalmopathy:Bilateral Proptosis Proptosis of both eyes.i) Developmental anomalies of the skull- Oxycephaly (tower skull),ii) Endocrine exophthalmos, both thyrotoxic and thyrotropic.Inflammatory lesions - Cavernous sinus thrombosis.Tumours - lymphosarcoma, lymphoma, pseudotumour, nephroblastoma, Ewing's sarcoma.Systemic disease - Histocytosis (Hand - schuller christon disease), amyloidosis, wegner s granulomatosis.o Most common cause of bilateral proptosis in children --> Neuroblastoma (me), Leukemia (Chloroma)o Most common cause of bilateral proptosis in adults is thyroid ophthalmopathy\Intermittent proptosis Proptosis developing intermittently and rapidly in one eye when venous stasis is induced by forward bending or lowering the head, turning the head forcibly, hyperextension of the neek, coughing, forced expiration with or without compression of the nostrils, or pressure on jugular veins. The most important casue is orbital varix (varicocele).Pulsatile proptosis : - Pulsati le proptosis is seen in caroticocovernous fistula; saccular aneurysm of ophthalmic arteiy; and due to transmitted cerebral pulsation as seen in meningocele, neurofibromatosis and traumatic or operative hiatus.